Find the false statement about mi-RNAs:
1. Inhibit gene expression
2. Can encode proteins
3. Gene silencing RNAs
4. 21-30 nucleotides in length

Correct answer: 2. Can encode proteins

Explanation: mi-RNAs : small non coding RNA They are 21-30 nucleotides in length. They don't code for any protein. These are transcribed but not translated. Function :gene silencing.